GFR is determined by the following
1. Bowman capsule pressure
2. Hydrostatic pressure
3. Plasma oncotic pressure
4. All of the above

Correct answer: 4. All of the above

Explanation: GFR = K * EF ....... EF means effective pressure which depends on all pressures mentioned above. Ref: guyton and hall textbook of medical physiology 12 edition:464,465,466